Cauliflower ear is associated with:
1. Otomycosis
2. Hematoma
3. Otosclerosis
4. None of the above

Correct answer: 2. Hematoma

Explanation: A patient with an auricular hematoma usually presents with an edematous, fluctuant, and ecchymotic pinna, with loss of the normal cartilaginous landmarks. Failure to evacuate the hematoma may lead to cartilage necrosis and permanent disfigurement known as "cauliflower ear."